Palatal abscess most commonly results from in infection of:
1. Maxillary centrals
2. Maxillary laterals
3. Maxillary canine
4. Maxillary premolars

Correct answer: 2. Maxillary laterals